Electrical synapse is closely associated with
1. Neuromuscular junction
2. Tight junction
3. Gap junction
4. None of the above

Correct answer: 3. Gap junction

Explanation: Cell junction forms tunnels that join the cytoplasm of two cells. They help in the transmission of electrical activity from one cell to another. (REF: TEXTBOOK OF MEDICAL PHYSIOLOGY GEETHA N 2 EDITION, PAGE NO - 18)